Anterior wall of inguinal wall is formed by:
1. External oblique
2. Transversus abdominis
3. Pyramidalis
4. Conjoint tendon

Correct answer: 1. External oblique

Explanation: Ans. A. External obliqueThe inguinal canals are situated just above the medial half of the inguinal ligament. The canals transmit the ilioinguinal nerve and the spermatic cord (in men) or the round ligament (in women). The canals are approximately 3.75 to 4 cm long.Boundaries-a. Anterior wall:aponeurosis of external obliquefleshy part of internal oblique (lateral third of canal only)b. Posterior wall:transversalis fasciaconjoint tendon (medial third of canal only)c. Superior wall (roof):Musculoaponeurotic arches of internal oblique and transverse abdominald. Inferior wall (floor):inguinal ligamentlacunar ligament (medial third of canal only)